A congenital diaphragmatic hernia may result from failure of the
1. Septum transversum to develop
2. Pleuroperitoneal membranes to fuse in a normal fashion
3. Pleuropericardial membrane to develop completely
4. Dorsal mesentery of the esophagus to develop

Correct answer: 2. Pleuroperitoneal membranes to fuse in a normal fashion

Explanation: The formation of the diaphragm occurs through the fusion of tissue from four different sources. The pleuroperitoneal membranes normally fuse with the three other components during week 6 of development. Abnormal development or fusion of one or both of the pleuroperitoneal membranes causes a patent opening between the thorax and abdomen through which abdominal viscera may herniate. fig:- development of diaphragm